The cavosurface angle formed in cast metal restorations is
1. 90 degree; Butt joint
2. 130-140 degree; Lap sliding fit
3. 130-140 degree; Butt joint
4. 90 degree; Lap sliding fit

Correct answer: 2. 130-140 degree; Lap sliding fit